Cystoglandular hyperplasia is seen in :
1. Menorrhagia
2. Polymenorrhoea
3. Oligomenorhoea
4. Metropathia haemorrhagia

Correct answer: 4. Metropathia haemorrhagia

Explanation: Metropathia haemorrhagia